Which is not true about alcoholic hepatitis :
1. Gamma glutamyl transferase is raised
2. SGPT is raised > SGOT
3. SGOT is raised > SGPT
4. Alkaline phosphatase is raised

Correct answer: 2. SGPT is raised > SGOT

Explanation: SGOT/SGPT ratio greater than 2 is highly suggestive of alcoholic hepatitis and cirrhosis. AST is synonymous with SGOT & ALT is synonymous with SGPT In general AST and ALT levels rise parallel to each other. In alcoholic liver disease the AST rises out of proportion to ALT such that the ratio of AST and ALT may become greater than 2: Stigmata of Alcoholic hepatitis / cirrhosis that aid in diagnosis : Bilateral enlarged parotids Gynaecomastia Testicular atrophy with loss of body hair Wasting of muscle mass Duputyrens contracture AST (SGOT) out of proportion to ALT (SGPT) seen in Alcoholic hepatitis Fatty liver in pregnancy Gamma Glutamyl transferase levels correlate with levels of Alkaline phosphatase and are a sensitive indicater of biliary tract disease -- obstructive jaundice. It is not an indicator of alcoholic liver disease. REF: Harrison book of internal medicine 21ST EDITION